Babes Ernest granules are seen in:
1. Clostridium botulinium
2. Diptheria
3. Anthrax
4. Clostridium welchi

Correct answer: 2. Diptheria

Explanation: Diptheria